A chronic alcoholic develops palpitations suddenly after alcohol binge. His pulse is irregularly irregular Which of the following arrythmia is most commonly associated with alcohol binge in the alcoholics ?
1. Ventricular fibrillations
2. Vetricular premature contractions
3. Atrial flutter
4. Atrial fibrillation

Correct answer: 4. Atrial fibrillation

Explanation: Atrial fibrillation (AF or A-fib) is an abnormal heart rhythm characterized by rapid and irregular beating of the atrial chambers of the heart. Often it starts as brief periods of abnormal beating which become longer and possibly constant over time.Often episodes have no symptoms. Occasionally there may be heart palpitations, fainting, lightheadedness, shortness of breath, or chest pain.The disease is associated with an increased risk of heart failure, dementia, and stroke. It is a type of supraventricular tachycardia Leads V4 and V5 of an electrocardiogram showing atrial fibrillation with somewhat irregular intervals between heart beats, no P waves, and a heart rate of about 150 BPM. High blood pressure and valvular heart disease are the most common alterable risk factors for AF. Other heart-related risk factors include heart failure, coronary artery disease, cardiomyopathy, and congenital heart disease. In the developing world valvular heart disease often occurs as a result of rheumatic fever. Lung-related risk factors include COPD, obesity, and sleep apnea.Other factors include excess alcohol intake, tobacco smoking, diabetes mellitus, and thyrotoxicosis. However, half of cases are not associated with any of these risks.A diagnosis is made by feeling the pulse and may be confirmed using an electrocardiogram (ECG).A typical ECG in AF shows no P waves and an irregular ventricular rate Ref Harrison 20th edition pg 1456